Cohort study is associated with:
1. Prevalence
2. Odd's ratio
3. Relative risk
4. Exposure rates

Correct answer: 3. Relative risk

Explanation: Ans. C: Relative riskOdd's ratio can be derived from a case control study, which is a measure of the strength of the association between risk factor and outcome.